Which of the following is the diagnosis for a condition having mutation in COL4A5 chain?
1. Alport's syndrome
2. Good pasture's syndrome
3. Thin membrane disease
4. Nodular glomerulosclerosis

Correct answer: 1. Alport's syndrome

Explanation: COL4A5 chain represents the a5 chain of collagen type IV. It is associated with the development of Alport Syndrome.